A child with pellagra like symptoms,amino acids in urine,family history of two siblings normal and two affected.Parents are normal.What is the diagnosis?
1. PKU
2. Alkaptonuria
3. MSUD
4. Hartnups disease

Correct answer: 4. Hartnups disease

Explanation: Hartnup's disease : disease is caused by a mutation(six mutations in SLC6A19) of the gene that controls the processes of amino acid absorption and reabsorption. Symptoms: * sensitivity to light * anxiety * rapid mood swings * hallucinations * delusions * intention tremor * speech difficulties * abnormalities in muscle tone: either muscles can become more tight DIAGNOSIS: * Blood Test * Urine Test * Prenatal Screening Based On the Symptoms Treatment: * consists of a change in diet, avoidance of sunlight, and prescribing sulfonamide drugs * Consuming foods that contain the B-complex vitamin niacin can significantly reduce your symptoms. * Good sources of niacin include: meat poultry fish fortified and whole grains peanut butter potatoes B-complex or niacin vitamin supplements (such as nicatonic acid) Reference: Harpers illustrated biochemistry 30th edition